Epitheliod granuloma is caused by
1. Neutrophils
2. Cytotoxic T cells
3. Helper T cells
4. NK cells

Correct answer: 3. Helper T cells

Explanation: ref Robbins 7/e p 83 CD 4 hepler cells are involved in granuloma formation as it secreted lFN - gamma, IL 2 ,IL 12 Histiocytes (specifically macrophages) are the cells that define a granuloma. They often, but not invariably, fuse to form multinucleated giant cells (Langhans giant cell). The macrophages in granulomas are often referred to as "epithelioid".